True about E. coli is -
1. Sereny test is done to diagnose Enterotoxigenic E. coli (ETEC)
2. Enteropathogenic E. coli (EPEC) are also enteroinvasive
3. UTI is caused by single serotype at a time usually
4. E. coli is the most common causative organism to infect burn wounds

Correct answer: 3. UTI is caused by single serotype at a time usually

Explanation: Ans. is 'c' i.e., UTI is caused by single serotype only Urinary tract infection with E.Coli can be caused by several serotypes. The serotypes generally responsible are 0 antigen types 1, 2, 4, 6, 7. etc. K antigen type can also cause urinary tract infection. Remember only one serotype is generally isolated from infected urine at a time, though recurrances may be due to different serotypes. About other options . Sereny test is done for Enteroinvasive E. coli. . Enteropathogenic E. coli is not invasive. . Most common organism to infect burn wound ---> Pseudomonas followed by S. Aureus